A 25-yr man C/O a visual hallucination of a transparent phantom of his own body. Most likely diagnosis?
1. Capgras syndrome
2. Lycanthropy
3. Cotard syndrome
4. Autoscopic psychosis

Correct answer: 4. Autoscopic psychosis